3 month's training in preventive and social medicine during internship is recommended by
1. Bhore committee
2. Chadah committee
3. Mudaliar committee
4. Mukerji - committee

Correct answer: 1. Bhore committee

Explanation: (Bhore committee) (776- Park 20th)* Major changes in medical education which includes 3' months training in preventive and social medicine to prepare prepare "social physicians"-recommend by Bhore Committee 1946* "Health Survey and Planning Committee" popularily known as the Mudaliar committee* Chadah Committee - recommended that the "vigilance" operations is respect of the National malaria Eradication Programme should be the responsibility of the general health services i.e. primary health centres at the block level.